The tubal patency done radiologicallt after administering a contrast media shows the following. Which of the following methods has been employed?
1. Chromo perturbation test
2. Hysterosalpingogram
3. Sonosalpingogram
4. Hysteroscopcic

Correct answer: 2. Hysterosalpingogram

Explanation: The normal image is that of a normal hysterosalpingogram. Note both the fallopian tubes are patent with spill into the peritoneal cavity. Uses of hysterosalpingogram: Test tube patency in infertility detect intracavitary uterine lesions to demonstrate Mullerian anolamies of the uterus. Following test are useful for testing patency of the fallopian tubes: Hysterosalpingogram Sonosalpingogram Laparoscopic chromotubation Laparoscopy (identifies external tubal adhesions) Ref: Shaw's textbook of Gynaecology 17th edition Pgno: 216